Typical febrile seizures are characterized by all of the following except.
1. Commonest cause of seizures In children
2. Seizures do not last for more than minutes
3. E.E.G. shows persistent abnormality
4. No postictal neurological deficit t

Correct answer: 3. E.E.G. shows persistent abnormality

Explanation: Febrile convulsions are the commonest cause of seizures during early childhood.
 
These convulsions are not related to degree of temperature but frequent if temperature rises abruptly. The Febrile convulsion
 
Simple or benign
 
Complex or atypical
 
Characteristics of simple benign febrile convulsion The fits occur within 24 hours of onset of fever last less than 10 minutes
 
Convulsions are generalized (mostly not always) No postictal neurological deficit
 
EEG (electroencephalogram) is normal after few days of seizure
 
The age of onset usually between 6 months and 5 years. Atypical febrile seizures:
 
Characterised by presence of family history of epilepsy. Neurodevelopment retardation
 
Convulsion due to organic neurological damage are precipitated by fever, as the cerebral threshold for seizures is reduced with elevation of temperature